Hemagglutinin and neuraminidase are found in:
1. Norovirus
2. Hantavirus
3. Influenza virus
4. Rubella virus

Correct answer: 3. Influenza virus

Explanation: Ans. C. Influenza virusHemagglutinin is for attachment to sialic acid/mucin receptors and neuraminidase/mucinase is for release/elution.